"International prognostic index" for lymphoma includes the following prognostic factors, EXCEPT:
1. LDH
2. Stage of disease
3. Hemoglobin and Albumin
4. Number of extralymphatic sites involved

Correct answer: 3. Hemoglobin and Albumin

Explanation: Hemoglobin and Albumin are not included as prognostic factors in International prognostic index. International prognostic index of lymphoma can predict the prognosis of lymphoma accurately. It is widely used to categorize patients with intermediate-grade lymphoma into risk group. Prognostic factors includes: Age of 60 or above Stage III or IV disease Performance status High level of lactate dehydrogenase (LDH) Involvement of 2 or more organs outside the lymph nodes Patients with no risk factors or one risk factor have high complete response rates (80%) to standard immunochemotherapy. Patients with two risk factors have a 70% complete response rate. Patients with higher-risk disease have lower response rates and poor survival with standard treatment regimens, and alternative treatments are needed. Ref: Current Medical Diagnosis and Treatment, 2012, Chapter 13; Johns Hopkins Medicine Patients Guide to Lymphoma By Aditya Bardia, Chapter 1